All the following statements about alpha–glucosidase inhibitors are true EXCEPT:
1. Reduces intestinal absorption of carbohydrates
2. Effective in both type 1 and 2 diabetes
3. Hypoglycemia is a common and serious side effect
4. Can be used with other oral hypoglycemic agents

Correct answer: 3. Hypoglycemia is a common and serious side effect